The fold in collagen is because of presence of:
1. Histidine
2. Glycine
3. Argininc
4. Glutamate

Correct answer: 2. Glycine

Explanation: The fold in collagen is because of presence of Glycine. ADDITIONAL READING ON STRUCTURE OF COLLAGEN: Collagen is made up of 3 alpha- chains (not alpha helix). These 3 chains together make a superhelix --> Tropocollagen(a rope like triple helix) Superhelix (right handed) is favoured by Glycine residues. Glycine has the smallest side chain soit fits into the restricted space where three chains of helix come together.